Aromatase inhibitors are used in the treatment of:
1. Lung
2. Breast
3. Liver
4. Colon

Correct answer: 2. Breast

Explanation: Ans: b (Breast) Ref: Bailey & Love, 24th ed, p. 842Aromatase inhibitors are used in the treatment of breast cancerHormonal therapy for Breast Ca:* Tamoxifen is the most widely used hormonal treatment in Ca breast.* Effect of tamoxifen is favourable in cases with estrogen receptor (ER positive disease).* LHRH agonists which induce a reversible ovarian suppression. Have same beneficial effects as surgical or radiation induced ovarian ablation in premenopausal receptor positive women.* Oral aromatase inhibitorsNonsteroidalLetrozoleIt is an orally active non steroidal compound that reverse aromatization all over the body including that within the breast cancer cell resulting in total estrogen deprivationIt is used in early breast cancer as an adjuvant therapy after mastectomy in ER positive cases and it is also used for post menopausal women for recurrent breast Ca (superior to tamoxifen)Anastrazole is another non steroidal aromatase inhibitor which is more potent than Letrozole and suitable for single daily dosing.Exemestane is a steroidal orally acting aromatase inhibitor.